Not a part of kangaroo mother care -
1. Skin to skin contact
2. Early discharge
3. Free nutritional supplements
4. Exclusive breast feeding

Correct answer: 3. Free nutritional supplements

Explanation: The 4 components of kangaroo mother care are all essential for ensuring the best care option especially for low birth weight babies. This include: Skin to skin contact on mothers chest Adequate nutrition through breast feeding Ambulatory care as a result of earlier discharge Support for mother and family in caring baby. Parks textbook of preventive and social medicine.K Park. Edition 23.Pg no: 537